Which of the following is characterized by 'Cobra head deformity'?
1. Cystitis
2. Ureterocele
3. Bladder tumour
4. Posterior urethral valve

Correct answer: 2. Ureterocele

Explanation: Ans. is 'b' i.e. Ureterocele Adder head or cobra head appearance on excretory urography is typical of Ureterocele. Image: IVP Image: USG